The fear of dark/night is called as-
1. Agoraphobia
2. Claustrophobia
3. Nyctophobia
4. Thanatophobia

Correct answer: 3. Nyctophobia

Explanation: Agoraphobia - fear of places which is difficult to escape such as crowded, enclosed or open places Claustrophobia - fear of closed places Nyctophobia - fear of dark Thanatophobia - fear of death Xenophobia - fear of stranger Acrophobia - fear of heightsc Cynophobia - fear of dogs